Which is most significant finding in cardiotocography for detection of fetal hypoxia?
1. Late deceleration
2. Variable deceleration
3. Sinusoidal deceleration
4. Early deceleration

Correct answer: 1. Late deceleration

Explanation: Late deceleration: Begins at or after the contraction peak and touches the baseline only after the end of contraction.It has a smooth and gradual onset and recovery and magnitude is rarely >40bpm.It is classically caused by uteroplacental insufficiency and indicates hypoxia. Most common causes are maternal hypotension following epidural and hyperstimulation due to oxytocics. TEXTBOOK OF OBSTETRICS, SHEILA BALAKRISHNAN ,Pg no:521,2nd edition